Closure of neural tube begins at which of the following levels:
1. Cervical region
2. Thoracic region
3. Cephalic end
4. Caudal end

Correct answer: 1. Cervical region

Explanation: Closure of neural groove into neural tube begins in cervical region(5th somite) and proceeds cranially and caudally in a bidirectional manner. But according to latest concept it has been postulated that closure begins at multiple sites and proceeds simultaneously.